Which of the following disease can be associated with short QT interval on ECG ?
1. Chronic myeloid leukemia
2. Multiple myeloma
3. Chronic lymphocytic leukemia
4. Hodgkin's disease

Correct answer: 2. Multiple myeloma

Explanation: Short QT syndrome (SQTS) is an inherited cardiac channelopathy characterised by an abnormally short QT interval and increased risk for atrial and ventricular arrhythmias. Diagnosis is based on the evaluation of symptoms (syncope or cardiac arrest), family history and electrocardiogram (ECG) findings multiple myeloma shows short QT interval Ref Harrison 20th edition pg 1534